The most reliable bones for the purpose of medullary index are the following except :
1. Humers
2. Tibia
3. Radius
4. Sternum

Correct answer: 4. Sternum

Explanation: D i.e. Sternum Sex can be determined most reliably by medullary index of tibia, humerus, ulna and radiusQ